A 36 year old male presents with weakness, pallor and bleeding gums. His HB was 7g %, total leukocyte count 1,10,000 cumm with many immature WBCs, which are positive for MPO and Platelet count 22,000/cumm
1. AML
2. CML
3. ALL
4. CLL

Correct answer: 1. AML

Explanation: Leuocyte - 1,10,000/ cumm
Peripheral smear contains immature WBCs
MPO test is positive
Recause of all three reasons patient is suffering from AML.